Regarding G6PD deficiency true are – a) Autosomal dominantb) Bite cell (+)c) Protects against kala azard) Enzyme level directly proportional to age of RBCe) Sex preponderance
1. ab
2. be
3. bc
4. ce

Correct answer: 2. be

Explanation: Glucose -6-Phosphatase dehydrogenase (G6PD) deficiency is an X-linked inherited disorder which is seen more frequently in boys